Otolith organs are concerned with function of:
1. Hearing
2. Rotatory nystagmus
3. Linear acceleration
4. Angular acceleration

Correct answer: 3. Linear acceleration

Explanation: Otolith organs (present in maculae) are concerned with linear acceleration, gravity and head tilt movements and they also help to maintain static equilibrium.